Malonyl acetyltransferase has an activity of how many enzymes-
1. 1
2. 2
3. 3
4. 4

Correct answer: 2. 2

Explanation: Ans. is 'b' i.e., 2 o Malonyl acetyl transferase (MAT) is a part of multienzyme complex : Fatty acid synthase.It has two activities:-Acetyl transferase or acetyl transacylase (El)Malonyl transferase or malonyl transacylase (E2)Fattv acid svnthaseo Fatty acid synthase is a multienzyme complex containing seven enzyme activities and an acyl carrier protein (ACP).o The seven enzyme activities are -Acetyl transacylase (El)Molonyl transacylase (E2)Ketoacyl synthase (E3)Ketoacyl reductase (E4)Hydratase (E5)Enoyl reductase (.E6)Thioesterase (E7)o Fatty acid synthase complex in a dimer composed of two identical monomer units.